The first indication of gastrulation in the embryo is
1. Formation of the primitive streak
2. Formation of the notochord
3. Formation of the neural tube
4. Formation of extraembryonic mesoderm

Correct answer: 1. Formation of the primitive streak

Explanation: The formation of the primitive streak on the dorsal surface of the bilaminar embryonic disk formed from proliferation at the end of 2nd week (day 14) is the first indication of gastrulation.